A 25-year-old man experiences pain in the right knee while skiing, causing his knee to twist and him to fall to the ground. His knee is swollen. He cannot bear full weight or fully extend or bend his leg. There is tenderness over the medial joint line (Figure below). Emergency- room x-ray findings were normal, and the range of motion (ROM), although restricted, is stable to varus and valgus stress. Straight-leg raise is unrestricted. Which is the most likely type of injury?Superior aspect of the right tibia showing ligaments.
1. Anterior cruciate ligament
2. Tuberosity
3. Transverse genicular ligament
4. Medial meniscus

Correct answer: 4. Medial meniscus

Explanation: Restriction of motion ("locking"), effusion ("swelling"), and medial joint-line tenderness are the hallmarks of meniscal tears. Stability-to-stress testing eliminates collateral ligament rupture, and the ability to elevate the straight leg eliminates patella dislocation and quadriceps tendon ruptures. In addition, patella dislocation would also be characterized by gross patella deformity laterally.